Durck granuloma is seen in?
1. Cat scratch disease
2. Cerebral malaria
3. Churg strauss syndrome
4. Coccidiomycoses

Correct answer: 2. Cerebral malaria

Explanation: Durck granuloma are blood vessels packed with rings of plasmodium falcipalum.